Gasterointestinal enteritis necroticans is caused by -
1. Clostridium difficale
2. Clostridium perfringens
3. Botulinum
4. C. Jejuni

Correct answer: 2. Clostridium perfringens

Explanation: Ans is 'b' i.e. Cl. perfringens Necrotising enteritis (enteritis necroticans or Pigbel) is caused by Cl. perfringens.